Mechanism of action of gentamicin
1. Interfere with DNA synthesis
2. Inhibit transcription
3. Inhibit translation
4. Inhibit cell wall synthesis

Correct answer: 3. Inhibit translation

Explanation: (Refer: KD Tripathi's Essentials of Medical Pharmacology, 7th edition, pg no:669)
Drugs acting through inhibition of protein synthesis (translation)